All are early complications of tracheostomy except?
1. Hemorrhage
2. Pneumothorax
3. Injury to esophagus
4. Tracheal stenosis

Correct answer: 4. Tracheal stenosis

Explanation: Ans. is 'd' i.e., Tracheal stenosis Immediate (at the time of operation) Hemorrhage Apnea Pneumothorax Injury to RLN Aspiration of blood Injury to esophagus Complications of tracheostomy Intermediate (first few hours or days) Bleeding (reactionary or secondary) Displacement of tube Blocking of tube Subcutaneous emphysema Tracheitis and tracheobronchitis Atelectasis and lung abscess Local wound infection and granulations Late (with prolonged use of tube for weeks or months) Hemorrhage, due to erosion of major vessel Laryngeal stenosis Tracheal stenosis Tracheo-esophageal fistula Problem of decannulation Persistent tracheocutaneous fistula Problem of tracheostomy scar